Neurotoxicity is seen with excess of
1. Vitamin B6
2. Vitamin B12
3. Vitamin B2
4. Vitamin C

Correct answer: 1. Vitamin B6

Explanation: Neurotoxicity is seen with excess of Vit B6. Toxicity of pyridoxine: Pyridoxine is the only water-soluble vitamin with significant toxicity. Neurologic symptoms (sensory neuropathy) occur at intakes above 200 mg/day, an amount more than 100 times the RDA. Substantial improvement, but not complete recovery, occurs when the vitamin is discontinued. Reference: Lippincott Textbook of Biochemistry pg no. 378